The treatment of 23 year old mother of one child with carcinoma in situ of the cervix is :
1. Total hysterectomy
2. Cone biopsy and follow up
3. Radiation
4. Wertheim's hysterectomy

Correct answer: 2. Cone biopsy and follow up

Explanation: Cone biopsy and follow up